The north Kerelia project evaluate risk factors of
1. Diabetes
2. Coronary heart disease
3. Cancers
4. Obesity

Correct answer: 2. Coronary heart disease

Explanation: North kerelia project:North Kerelia is a county in the eastern part of Finland, where CHD is particularly common. A multiple risk factor intervention trial was started in 1972. The project had two aims: 1. to reduce the high levels of risk factors for cardiovascular diseases and 2. to promote the early diagnosis, treatment and rehabilitation of patients with cardiovascular disease. Ref: Park; 23rd ed; Pg 371